The occurrence of hyperthyroidism following administration of supplemental iodine to subject with endemic iodine deficiency goitre is known as
1. jod – basedow effect
2. wolff- chalkoff effect
3. thyrotoxicosis facticia
4. dequervain’s thyroiditis

Correct answer: 1. jod – basedow effect